gustatory hallucination is common in
1. schizophrenia
2. delirium tremens
3. temporal lobe epilepsy
4. cotards syndrome

Correct answer: 3. temporal lobe epilepsy

Explanation: hallucination is perception without a stimulus it is of several types based on the modality of it occurs Auditory hallucination occurs in schizophrenia Visual hallucination occurs in Delirium Tremens Gustatory hallucination occurs in temporal lobe epilepsy Tactile hallucination occurs in cocaine bugs Ref.Kaplon and sadock, synopsis of Psychiatry, 11 th edition, Pg.No.194